"Cruising" is a developmental milestone attained at the age of:
1. 8 months
2. 10 months
3. 13 months
4. 15 months

Correct answer: 2. 10 months

Explanation: Cruising is attained by 10-11 months "Cruising" is an action in which a child pulls to the standing position and then scuffles around holding onto a piece of furniture. Ref: Ghai Essentials Pediatrics 9th edition Pgno: 43